The usual voltage of alpha rhythm is?
1. 50 micro volts
2. 10 mv.
3. 5 mv.
4. 100 mv.

Correct answer: 1. 50 micro volts

Explanation: A i.e. 50 microvolts